Broad casts in urinary sediments are specific for-
1. Acute renal failure
2. Rapidly progressive renal failure
3. Chronical renal failure
4. Asymptomatic urinary abnormality

Correct answer: 3. Chronical renal failure

Explanation: Chronic glomerulonephritis: End-stage of any GN Granular contracted kidney Hyalinized glomeruli Progresses to renal failure. Urine shows broad waxy casts. Ref: RAM DAS NAYAK EXAM PREPARATORY MANUAL FOR UNDERGRADUATES 2nd ed. pg no: 613